All are true about Miller fisher syndrome except:
1. Ataxia
2. Areflexia
3. Muscle weakness
4. Ophthalmoplegia

Correct answer: 3. Muscle weakness

Explanation: Ans. C. Muscle weaknessMiller Fisher syndrome is characterized by Areflexia without muscle weakness.* Miller Fisher syndrome (MFS) is a variant of GBS.* It accounts for 5% of all cases.* It is strongly associated with antibodies to the ganglioside GQ1b (IgG).* It presents with- Rapidly evolving ataxia- Areflexia of limbs without weakness- Ophthalmoplegia, often with pupillary paralysis